About Linear energy transfer all are false except
1. Low LET radiations are more lethal
2. It is the property of the tissue
3. Same as relative biological effectiveness
4. High LET radiations have low oxygen enhancement ratio

Correct answer: 4. High LET radiations have low oxygen enhancement ratio

Explanation: LET (linear energy transfer) - it is the amount of energy deposited per unit length. Given as Kev/ micrometer. It is highest for alpha particle (high LET), low for beta particles and gamma emissions (Low LET). It is a property of the radiation. OER (oxygen enhancement ratio )is the ratio of the quantity of radiation required to kill tumor cells in the absence of oxygen to the quantity of radiation required to kill the same amount of tumor cells in the presence of oxygen. OER is low for high LET radiations (OER= 1) and high for low LET radiations(OER= 2-3).